All of the following are viral inclusion bodies, EXCEPT:
1. Psamomma bodies
2. Molluscum
3. Negri
4. Bollinger

Correct answer: 1. Psamomma bodies

Explanation: Psammoma bodies are nonrefractile calcified concretions with concentric lamellations that are sometimes found in association with papillary adenocarcinoma, both primary and metastatic. Molluscum bodies or Henderson-Patterson bodies are seen in molluscum contagiosum which is caused by a pox virus. They are intracytoplasmic eosinophilic inclusions. Negri bodies are intracytoplasmic inclusions that are pathognomonic of rabies. They are found in the pyramidal cells of the hippocampus and the Purkinje cells of the cerebellum. Bollinger bodiesare intracytoplasmic inclusion bodies in epithelial cells, seen in fowlpox.